Skin grafts stored at 40 C can survive up to?
1. 1 week
2. 2 weeks
3. 3 weeks
4. 4 weeks

Correct answer: 2. 2 weeks

Explanation: 2 weeks REF: Facial Plastic and Reconstructive Surgery by Ira D. Papel Page 44, Excess split-skin autografts harvested and meshed during a surgical session are often stored at short-term for later burn surgery or graft failure. The current procedure in skin graft storage involves wrapping the meshed autograft on a piece of ringer lactate or normal saline-moistened gauze, transferring it into a sterile container and storing it in a 4deg C for 2 weeks. The graft should never be totally immersed in saline because it will become macerated. After 14 days of storage the respiratory activity of skin graft reduced by 50%.